Renin is secreted by
1. PCT
2. DCT
3. Collection duct
4. Juxtaglomerular apparatus

Correct answer: 4. Juxtaglomerular apparatus

Explanation: Ans. (d) Juxtaglomerular apparatus(Ref: Ganong, 25th ed/p.672)Juxtaglomerular cells synthesize, store and release an enzyme called renin